In pelger huet anomaly -
1. Most of the neutrophils are bilobed
2. Lymphocytic nucleus becomes indented
3. Monocytic nuclei lose their notch
4. Neutrophils become hypersegmented

Correct answer: 1. Most of the neutrophils are bilobed